Intranasal calcitonin is used for ?
1. Paget's disease
2. MEN Syndrome
3. Hypercalcemia
4. Postmenopausal osteoporosis

Correct answer: 4. Postmenopausal osteoporosis